Composition of Hyaluronic acid
1. N-acetyl glucosamine + b glucosamine acid
2. N-acetyl glucosamine + b-glucoraunic acid
3. N-acetyl glucosamine + sulfated glucosamine acid
4. N-acetyl glucosamine + iduranic acid

Correct answer: 2. N-acetyl glucosamine + b-glucoraunic acid

Explanation: Composition of hyaluronic acid: repeating units of N-Acetyl-glucosamine and beta-1,4-Glucuronic acid.Ref: DM Vasudevan, 7th edition, page no: 80